Decreased Radio iodine uptake is/are seen in -a) Toxic multinodular goiterb) Grave's diseasec) Subacute thyroiditisd) Factitious thyroiditis
1. ac
2. ad
3. cd
4. bd

Correct answer: 3. cd